Which of the following is not a feature of EDH due to burns
1. Honeycomb appearance
2. Contains carboxyhemoglobin
3. Reddish purple in colour
4. Due to blood boiled in the diploic layer through emissary veins and venous sinuses

Correct answer: 3. Reddish purple in colour

Explanation: EDH due to burns : Honeycomb appearance Contains carboxyhemoglobin CHOCOLATE colour Due to blood boiled in the diploic layer through emissary veins and venous sinuses It is known as heat hematoma.